Oniomania is a disorder of compulsive:
1. Stealing
2. Gambling
3. Buying
4. Hair pulling

Correct answer: 3. Buying

Explanation: Oniomania is a compulsive disorder that drives people to buy in a repetitive and uncontrolled manner regardless of consequences. Oniomania is an example of a reactive impulse or impulsive insanity. Although DSM IV-TR does not mention CBD, the disorder can be placed in the category 'impulse control disorder not otherwise specified'. Ref: Impulse Control Disorders By Aboujaoude/Koran.